Transient myeloproliferative disorder of the newborn is seen in association with -
1. Turner's syndrome
2. Down's syndrome
3. Neurofibromatosis
4. Ataxia telangiectasia

Correct answer: 2. Down's syndrome